Function of vasopressin
1. Absorption of water in PCT
2. Absorption of water in loop of Henle
3. Absorption of water in collecting duct
4. Absorption of Na+ in PCT

Correct answer: 3. Absorption of water in collecting duct

Explanation: Vasopressin- a hormone secreted by cells of the hypothalamic nuclei and stored in the posterior pituitary for release as necessary; it stimulates contraction of the muscular tissues of the capillaries and arterioles, raising the blood pressure, and increases peristalsis, exerts some influence on the uterus, and influences resorption of water by the kidney tubules, resulting in concentration of urine.Ref: Ganong's review of medical physiology; 24th edition; page no:-303